The number of molecules of ATP produced by the total oxidation of acetyl CoA in TCA cycle is
1. 6
2. 8
3. 10
4. 12

Correct answer: 3. 10

Explanation: There are 3 NADH molecules generated during one cycle, each of them will give rise to 2 ½ ATPs on oxidation by electron transport chain (ETC); so altogether they will give 3 × 2 ½ = 7 ½ (7.5) high energy phosphates. The FADH2 will generate 1½ molecules of ATP. In addition, one molecule of GTP (equivalent to one molecule of ATP) is formed by substrate level phosphorylation. Hence, per turn of the cycle, 10 high energy phosphates are produced.
Reference: Vasudevan 7th  ed, pg 250